All of these cells are found in small intestine except -
1. Stem cells
2. Goblet cells
3. Neck cells
4. Paneth cells

Correct answer: 3. Neck cells

Explanation: Mucus secreting brunner’s gland in submucosa are seen in duodenum; solitary lymphatic nodules in submucosa are seen in jejunum and submucosal aggregated lymphatic follicles (peyer's patch) are seen in ileum.